Nonsynthetic phase I reaction for drug detoxification is:.
1. Glucuronidation
2. Acetylation
3. Methylation
4. Oxidation

Correct answer: 4. Oxidation